Cronbach alpha is a measure of
1. Internal consistency
2. Content validity
3. Central tendency
4. Standard deviation

Correct answer: 1. Internal consistency

Explanation: Cronbach alpha / Guttman's lamdba 3 :

Is measure of internal consistency.
Value lies between 0 to +1.
Value +0.7 or more is considered satis factory.